Persistent diarrhoea in AIDS is caused byA/E ?
1. Microspora
2. Cryptococcus
3. Cryptosporidia
4. Isospora belli

Correct answer: 2. Cryptococcus

Explanation: Ans. is 'b' i.e., Cryptococcus and